As per Bio Medical Waste Management & Handling rules, waste sharps should be contained:
1. White container
2. Yellow container
3. Red container
4. Black container

Correct answer: 1. White container